Which of the following statements on lymphoma is not True?
1. A single classification system of Hodgkin's disease is almost universally accepted
2. HD tends to remain localized to a single group of lymph nodes and spreads by contiguity
3. Several types of Non-Hodgkin's lymphoma may have a leukemic phase
4. In general follicular NHL has worse prognosis compared to diffuse NHL

Correct answer: 4. In general follicular NHL has worse prognosis compared to diffuse NHL

Explanation: Ans. is 'd' i.e., In general follicular NHL has worse prognosis compared to diffuse NHL o Multiple classification system exist for Non-Hodgkin's lymphoma.o The prognosis of Non-Hodgkins lymphoma varies markedly with various histological types of Non Hodgkin's lymphoma, In general lymphomas with a follicular histological pattern are of lower grade {longer survival than those ofdiffuse pattern).Clinical difference between Hodgkins and Non Hodgkins LymphomaHodgkins lymphomaHon Hodgkins lymphomao More often localized to a single axial group of cervical mediastinal, para-aortic nodes.o Orderly spread by contiguityo More frequent involvement of multiple peripheral nodeso Waldeyer ring and mesenteric nodes commonly involvedo Mesenteric nodes and Waldeyerring rarely involvedo Extra-nodal involvement uncommono Extranodal involvement common